A-65, year old farmer presents with sweating, hypothermia and pulse rate of <50/min treatment is -
1. Physostigmine
2. Neostigmine
3. Atropine
4. Pilocarpine

Correct answer: 3. Atropine